A 6 year old child, weighing 20 kg who is a known case of seizure disorder, already on Valproate 200 mg twice daily, presents with breakthrough seizures to the pediatric casualty. The seizures were aborted with Inj Lorazepam. What should be the next medication administered to this child?
1. Phenobarbitone
2. Phenytoin
3. Sodium Valproate
4. Levetiracetam

Correct answer: 3. Sodium Valproate

Explanation: - For breakthrough seizures in a child who is already on an antiepileptic, after aborting the seizure, a mini loading dose of same antiepileptic can be given, provided he/she is not on the maximum dose of that drug. - Thus, to this child, mini loading dose of sodium valproate can be given